A highly polished surface on a metallic dental restoration aids considerably in the prevention of the:
1. Dimensional change
2. Thermal conductivity
3. Warpage
4. Tarnish and corrosion

Correct answer: 4. Tarnish and corrosion